Basic emergency obstetric services includes all, except:
1. Parenteral oxytocics
2. Antibiotics and anticonvulsants
3. Manual extractions of the placenta
4. Blood transfusions

Correct answer: 4. Blood transfusions